Hi antagonist has all the functions, except:
1. Antipruritic
2. Sedation
3. Decrease Gastric acid secretion
4. Antivertigo

Correct answer: 3. Decrease Gastric acid secretion

Explanation: Decrease Gastric acid secretion